Drug inhibiting bacterial protein synthesis are all except -
1. Aminoglycosides
2. Chloramphenicol
3. Clindamycin
4. Sulfonamides

Correct answer: 4. Sulfonamides

Explanation: Ans. is 'd' i.e., Sulfonamides Bacterial protein syn thesis and site of action of antibioticso Sulfonamides and other sulfa antibiotics indirectly inhibit DNA synthesis nu inhibiting folate synthesis.